Protein efficiency ratio is -
1. Gain weight per unit of protein consumed
2. Product of digestibility coefficient and biological value divided by 100
3. Percentage of nitrogen retained out of the nitrogen absorbed
4. Percentage of protein absorbed after digestion

Correct answer: 1. Gain weight per unit of protein consumed

Explanation: Protein efficiency ratio (PER) is based on the weight gain of a test subject divided by its intake of a particular food protein during the test period. From 1919, until very recently, the PET has been a widely used method for evaluating the quality of protein in food Ref: Dictionary of public Health, Dr. Jugal Kishore Pgno : 423-424